Following are the causes of painless sudden onset of loss of vision except -
1. Acute congestive glaucoma
2. Vitreous hemorrhage
3. CRAO
4. Central serous retinopathy

Correct answer: 1. Acute congestive glaucoma

Explanation: Ans. is 'a' i.e., Acute congestive glaucoma o Acute congestive glaucoma causes sudden painful loss of vision.SuddenGradualPainfulPainlessPainfulPainlesso Acute congestive (angle closure) glaucomao Acute iridocyclitis (uveitis)o Chemical & mechanical injury to eyeballo Endophthalmitiso Optic neuritiso Macular edemao CRAO (central retinal artery' occlusion)o CRVO (central retinal vein occlusion)o Central serous retinopathyo Retinal detachmento Exudative Age-Related Macular Degeneration (ARMD)o Vitreous & retinal hemorrhageo Methyl alcohol amblyopiao Subluxation or dislocation of lenso Corneal ulcerationo Chronic simple glaucomao Chronic iridocyclitis (uveitis)o Progressive pterygiumo Corneal dystrophyo Comeal degenerationo Cataract (development & senile)o Chorioretinal degenerationo Dry type- Age-related macular degeneration (ARMD)o Diabetic retinopathyo Refractive errorso Presbyopia